The pathogenic organism responsible for causation of Donovaniasis is-
1. Chlamydia trachomatis
2. Calymmatobacterium granulomatis
3. Haemophilus ducreyi
4. Herpes simplex virus

Correct answer: 2. Calymmatobacterium granulomatis

Explanation: Granuloma Inguinale (Donovanosis) Granuloma inguinale is a genital ulcerative disease caused by the intracellular gram-negative bacterium Klebsiella granulomatis (formerly known as Calymmatobacterium granulomatis) Ref Harrison20th edition pg 1078